All are seen in hemochromatosis except -
1. Hypogonadism
2. Arthropathy
3. Bronze diabetes
4. Desferrioxamine is the treatment of choice

Correct answer: 4. Desferrioxamine is the treatment of choice